A 12 kg child with diarrhoea, fluid to be replaced in first 4 hours -
1. 0-400ml
2. 400-800ml
3. 800-1200ml
4. 1200-1600ml

Correct answer: 3. 800-1200ml

Explanation: 800-1200 ml. Park's textbook of preventive and social medicine,K.Park,23rd edition,page no:226.